Male-female differentiation of fetus occurs at
1. 2-4 weeks
2. 10-12 weeks
3. 16-18 weeks
4. 24-26 weeks

Correct answer: 2. 10-12 weeks

Explanation: Genotype of embryo is established at fertilization. But male and female embryos are phenotypically distinguishbletill week 6. Ref: Gray's 39e/p-1289